'Moron' is one with an IQ of
1. 0-24
2. 25-49
3. 50-69
4. 70-79

Correct answer: 3. 50-69

Explanation: Levels of intelligence IQ range Idiot 0 - 24 Imbecile 25 - 49 Moron 50 - 69 Borderline 70 - 79 Low normal 80 - 89 Normal 90 - 109 Superior 110 - 119 Very superior 120 - 139 Near genius 140 and over